Z-platy is performed in cases of
1. High frenal attachment
2. Shallow sulcus
3. Deep sulcus
4. Low frenal attachment

Correct answer: 1. High frenal attachment